Fever, leukopenia, DIC, and hypotension caused by members of the Enterobacteriaceae family are most strongly associated with which of the following structures?
1. H antigens
2. K antigens
3. Lipid A
4. Polysaccharides

Correct answer: 3. Lipid A

Explanation: The lipopolysaccharide (LPS) of gram-negative cell walls consists of a complex lipid, lipid A, to which is attached a polysaccharide made up of a core and a terminal series of repeat units.